After a jarring blow to the left anterior shoulder region, a young field hockey player was told by an examining physician that she had a muscle tear that resulted directly from the superolateral distraction of a fractured coracoid process. Which muscle was torn?
1. Deltoid
2. Pectoralis major
3. Pectoralis minor
4. Serratus anterior

Correct answer: 3. Pectoralis minor

Explanation: Of the muscles listed, pectoralis minor is the only one which is attached to the coracoid process. The deltoid originates from the clavicle, acromion and scapular spine and inserts on the deltoid process of the humerus. Pectoralis major originates from the clavicle, sternum, and ribs and inserts on the crest of the greater tubercle of the humerus. Serratus anterior originates on the ribs and inserts on the medial border of the costal surface of the scapula. So, none of these other muscles would be detached by a fracture of the coracoid process. NOTE:Coracobrachialis and the short head of biceps are attached to the coracoid process.